Cord of brachial plexus are named as per their relation with the axillary artery behind which muscle?
1. Deltoid
2. Subclavius
3. Teres major
4. Pectoralis minor

Correct answer: 4. Pectoralis minor

Explanation: Pectoralis minor crosses in front of axillary artery and divides it into three parts. The anterior relation of each part are; First part lies behing the pectoralis major muscle, second part lies behind the pectoralis minor and major muscle and third part lies behind pectoralis major. The cords of brachial plexus are named according to their relation with the second part of axillary artery, lateral cord runs lateral to the axillary artery, as well the medial and posterior cord lies medially and posterior to the axillary artery. Thus the muscle anteriorly to second part is pectoralis minor and major.